What constitutes the driving force for transport of proteins into and out of the nucleus?
1. ATP hydrolysis within the cytosol
2. ATP hydrolysis within the nucleus
3. GTP hydrolysis within the cytosol
4. GTP hydrolysis within the nucleus

Correct answer: 3. GTP hydrolysis within the cytosol

Explanation: No ATP is involved at any point in nuclear transport. The driving force for the transport comes indirectly from a gradient created by GTP hydrolysis. The key controlling factor is the allosteric GTPase, Ran. Ran is only able to hydrolyze GTP to GDP in the cytosol because this process must be activated by a GTPase-activating protein (GAP) that is only present in the cytosol. Reference: Harper; 30th edition